Signe-de-Dance is -
1. Empty right iliac fossa in intussusception
2. Pincer shaped appearance in barium enema in intussusception
3. Tenderness at the McBurney's Point
4. Passing of large quantities of urine in hydronephrosis

Correct answer: 1. Empty right iliac fossa in intussusception

Explanation: Ans. is 'a' i.e., Empty right iliac fossa in intussusception.